Minimum Ventilation perfusion ratio at base because
1. Poor Ventilation at base
2. Poor Perfusion at base
3. High Ventilation at base
4. High Perfusion at base

Correct answer: 4. High Perfusion at base

Explanation: At Base, both Ventilation and Perfusion are good But Perfusion >> Ventilation. Hence Minimum Ventilation Perfusion ratio at base.